In a patient with sponteneous biliary enteric fistula the most common site of communication with gall bladder is
1. Duodenum
2. Jejunum
3. Ileum
4. Transverse colon

Correct answer: 1. Duodenum

Explanation: .BILIARY FISTULAS - Types a. External: Usually occurs as a complication of surgery following-- * Gastrectomy. * Cholecystectomy open or laparoscopic. * CBD surgery. * Pancreatic surgery. b. Internal: * Cholecysto-duodenal fistula causing gallstone ileus. * Cholecysto-enteric fistula. * Cholecysto-choledochal fistula. External biliary fistulas are difficult to manage, often dangerous, but many a times resolve spontaneously. ref:SRB's manual of surgery,ed 3,pg no 593